All of the following regarding papillary carcinoma thyroid is true except:
1. Multicentric origin
2. Secondaries to lymph nodes
3. Slowing growing
4. Bony metastasis in early stage

Correct answer: 4. Bony metastasis in early stage

Explanation: Ans. (d) Bony metastasis in early stage* MC site of Distant Mets in Papillary cancer- Lung* MC site of Distant Mets in Follicular cancer- Bone